Which prion disease affect human ?
1. Scrapie
2. Madcow disease
3. Kuru
4. Bovine spongiform encephalopathy

Correct answer: 3. Kuru

Explanation: Kuru prion Infection through ritualistic cannibalism